The classic opportunistic infection in acquired immune deficiency syndrome is:
1. Apthous stomatitis
2. Tuberculosis
3. Pneumocystis carinii pneumonia
4. Herpetic gingivostomatitis

Correct answer: 3. Pneumocystis carinii pneumonia